Variation in size and shape of muscle fibers, combined with degenerative changes and intramysial fibrosis, is typical of
1. Denervation atrophy
2. Denervation of muscle with reinnervation
3. Muscular dystrophy
4. Mitochondrial myopathy

Correct answer: 3. Muscular dystrophy

Explanation: Variation in the size and shape of muscle fibers, degenerative changes in some fibers, and intrafascicular fibrosis are features of muscular dystrophy. Denervation presents with scattered atrophic fibers that assume an angulated shape; most other fibers appear normal. Reinnervation is characterized by type-specific grouping of fibers, which is assessed by enzyme histochemistry. Mitochondrial myopathy is diagnosed only by enzyme histochemistry or electron microscopy, which discloses abnormal mitochondria or an increased number of mitochondria. Myasthenia gravis shows either no histologic changes in the muscle or aggregates of lymphocytes in the muscle fibers. Ref: Maheshwari 6e pg 232.